Number of vertebrae in vertebral column
1. 25
2. 27
3. 29
4. 33

Correct answer: 4. 33

Explanation: There are total thirty-three vertebrae, upper twenty-four are articulating and separated from each other by intervertebral discs, seven cervical vertebrae, twelve thoracic vertebrae and five lumbar vertebrae. The lower nine are fused, five in the sacrum and four in the coccyx.